A 70 years old female is on treatment with Alendronate for 7 years for osteoporosis. Now she complains of pain in right thigh. What is the next investigation to be performed?
1. DEXA scan
2. X-ray
3. Serum vitamin D levels
4. Serum alkaline phosphate levels

Correct answer: 2. X-ray

Explanation: Long term use of Alendronate (Bisphosphonates) results in following radiological changes in patients presenting with tigh pain: Earliest change would be thickening cortex femur (predominantly the lateral cortex) Later it results in subtrochanteric fracture through the thickened cortex with medial spike. Hence in this scenario the next investigation would be X ray to see for cortical thickening and atypical subtrochanteric fractures.